Which of the following statement regarding Acrodermatitis enteropathica is true?
1. Lifelong treatment required
2. Autosomal dominant disorder
3. Wound healing is not affected
4. Zinc absorption is normal

Correct answer: 1. Lifelong treatment required

Explanation: Treatment of acrodermatitis enteropathica involve lifelong supplementation of Zinc. Acrodermatitis enteropathica is an autosomal recessive disease characterised by defective absorption of zinc from the intestine. It is mainly seen in breast fed babies whose mothers do not secrete zinc into the breast milk. Zinc deficiency is associated with impaired granulation tissue formation which inturn result in impaired wound healing. It is characterized by impaired wound healing and as well as erythematous pustular dermatitis involving the extremities and body orifices. It is diagnosed by the presence of abnormally low blood zinc levels (more than 100mcg/dl).